Validity of a test is based upon all except
1. Sensitivity
2. Specificity
3. Precision
4. Accuracy

Correct answer: 3. Precision

Explanation: Ref:Parks 23rd edition pg 138 Validity (accuracy): refers to what extend the test accurately measures which it purports to measure. has two components: sensitivity and specificity. note: Precision / repeatability / reliability: that is test must give consistent redults when repeated more than once on the same individual or material, under same conditions.